All of the following are included as yellow flag signs of low back pain, except:
1. History of systemic steroids use
2. Reliance on Passive Treatment
3. Social Isolation
4. Belief that back pain is severely disabling

Correct answer: 1. History of systemic steroids use

Explanation: A i.e. History of systemic steroids use History of cancer, significant trauma, weight loss, temperature > 37.6degC, risk factors for infection, neurological deficit, minor trauma in patients (> 50 years of age, known to be osteoporotic or taking corticosteroids) no improvement over 1 month are red flag (dangerous) signs.